Porcelain jacket crown can best tolerate which of the
following forces?
1. Compressive forces
2. Shearing stress
3. Tensile forces
4. None of the above

Correct answer: 1. Compressive forces